Denver's shunt is used in
1. Ascites
2. Raised ICP
3. Headache
4. Dialysis

Correct answer: 1. Ascites

Explanation: A peritoneal-venous shunt (also called Denver shunt) is a shunt which drains peritoneal fluid from the peritoneum into veins, usually the internal jugular vein or the superior vena cava. It is sometimes used in patients with refractory ascites. It is a long tube with a non-return valve running subcutaneously from the peritoneum to the internal jugular vein in the neck, which flows ascitic fluid to pass directly into the systemic circulatio Ref Bailey and love 27 e Liver